Which carcinoma has the best prognosis
1. Carcinoma Lip
2. Carcinoma Cheek
3. Carcinoma Tongue
4. Carcinoma Palate

Correct answer: 1. Carcinoma Lip

Explanation: Lip cancer remains one of the most curable malignancies in the head and neck. The 10 year cause specific survival can be as high as 98% and recurrence free survival is greater than 90%. This is mainly because the lips are prominently located and allow for early detection of lesions. Squamous cell carcinoma of the lower lip is more often involved. Often seen in males in the age group of 40-70 years. Lower lip is more often involved. Site of predilection is between the midline and commissure of the lip. Lesion is of exophytic or ulcerative type. Lymph node metastases develop late. Submental and submandibular nodes are the first to be involved; other deep cervical nodes may also get involved later. Treatment is surgical excision with adequate safety margin of healthy tissue and plastic repair of the defect. Lymph node metastases require block dissection. Radiotherapy also gives good results in early cases. Ref: Dhingra 6th edition; pg: 226